X-rays are a type of
1. Atomic radiation
2. Ultrasonic radiation
3. Electromagnetic radiation
4. Particulate radiation

Correct answer: 3. Electromagnetic radiation